Direct coomb's test positive is seen in all except?
1. ABO incompatibility
2. Hemolytic d/s of newborn
3. Aplastic anemia
4. Autoimmune hemolysis

Correct answer: 3. Aplastic anemia

Explanation: Ans. (c) Aplastic anemia(Ref: Wintrobe 13th ed/Page 576)Coomb's test is positive in Immune hemolytic anemiaThey can be of 2 types:#Direct Coomb's test- Detects Antibody on RBC SurfaceQ#Indirect Coomb's test- Detects Antibody in SerumOut of the given options: Aplastic anemia is not a hemolytic anemia and so is automatically the answer here.